Petechiae in scurvy is due to
1. Platelet dysfunction
2. Thrombocytopenia
3. Clotting factor deficiency
4. Endothelial disintegration

Correct answer: 4. Endothelial disintegration

Explanation: Vitamin C deficiency causes defective formation of collagen with impaired healing of wounds, capillary haemorrhage and reduced platelet adhesiveness (normal platelets are rich in ascorbate) . Petechiae are formed due to minor bleeds from capillary vessels due to endothelial disintegration . Ref - Davidson 23e p716